Home delivery of contraception is carried out by
1. Anganawadi worker
2. Male health worker
3. ASHA worker
4. Female health worker

Correct answer: 3. ASHA worker